All of the following are features of scleroderma except:
1. Diffuse periosteal reaction
2. Esophageal dysmotility
3. Erosion of tip of phalanges
4. Lung nodular infiltrates

Correct answer: 1. Diffuse periosteal reaction

Explanation: Scleroderma Characterised by inflammatory, vascular and fibrotic changes of skin and a variety of internal organs. Lung involvement- diffuse and bilateral basilar reticulonodular infiltrates and rarely pulmonary nodules. Extremity radiography should be performed to reveal calcinosis and resorption of the distal tufts of the digits. * Esophageal dysmotility can be demonstrated using esophageal manometry. Bone changes in scleroderma are acro-osteolysis, periarticular osteoporosis, joint space narrowing and erosions.